Bacteria with a tuft of flagella at one end are called-
1. Monotrichate
2. Peritrichate
3. Bipolar
4. Lophotrichate

Correct answer: 4. Lophotrichate

Explanation: Two projections from the cells are important in relation to bacteria-

Flagella
Fimbriae
Flagella 


Flagella are the organs of locomotion.
All motile bacteria except for spirochetes possess flagella.
Flagella are made up of protein antigen flagellin
Though flagella of different genera of bacteria have the same chemical composition, they are antigenically different. Flagellar antigen induce specific antibodies in high titres. Flagellar antibodies are not protective but are helpful in serodiagnosis.
On the basis of the arrangement of flagella, bacteria may be divided into –